Orthodontic treatment in management of cleft lip and palate is usually carried out in:
1. Deciduous dentition and mixed dentition
2. Mixed dentition
3. Mixed and permanent dentition
4. Permanent dentition

Correct answer: 3. Mixed and permanent dentition

Explanation: Many children with cleft lip and palate require orthodontic treatment. Orthodontic treatment is commonly carried out in two phases:

Mixed dentition (8 - 10 years) – to expand the maxillary arches as a prelude to alveolar bone graft.
Permanent dentition (14 -18 years) – to align the dentition and provide a normal functioning occlusion. This phase of treatment may also include surgical correction of a malpositioned/ retrusive maxilla by maxillary osteotomy.